Increased Ca, decreased P04.Diagnosi-
1. Primary hyperparathyroidism
2. Secondary hyperparathyroidism due to Vit D deficiency
3. Malignancy
4. Osteoporosis

Correct answer: 1. Primary hyperparathyroidism

Explanation: Lab Diagnosis of primary hyperparathyroidism(Figs 9.18 to 9.21) a.Biochemical 1.Simultaneous parathormone and calcium level should be taken 2.Parathormone level is increased 3.Increased calcium (more than 12 mg%), and chloride 4.Decreased phosphorus, potassium and bicarbonate 5.Serum chloride/phosphorus ratio is diagnostic more than 75% (normal < 32%) b.Urinary calcium excretion is increased c.ECG--Short QT interval d.Localisation by USG, CT, MRI, nuclear thallium technetium scan and parathyroid angiography (Figs 9.20 and 9.21).e.Radiological findings in hyperparathyroidism include osteitis fibrosa cystica, subperiosteal erosion especially along the radial aspect of middle phalanx, pepper pot skull (Fig. 9.19). R ALAGAPPAN MANUAL OF PRACTICAL MEDICINE FOURTH EDITION PAGE NO-630